A patient has an invasive tumor in the cavernous sinus, presenting signs in the patient include all except
1. A dilated pupil
2. A drooping eyelid
3. A weakness in screwing the eyes up tightly
4. A deviated eye looking down and laterally

Correct answer: 3. A weakness in screwing the eyes up tightly

Explanation: Tight closing of eyes is a function of orbicularis oculi, which is supplied by facial nerve. This nerve doesn’t enter the cavernous sinus.